The most frequent non-sporing anaerobic bacilli isolated from clinical specimens is
1. Bacteroides fragilis
2. Clostridium tetani
3. Prevotella melaninogenica
4. Fusobacterium nucleatum

Correct answer: 1. Bacteroides fragilis